Drooling of saliva is pathognomonic of:
1. Postmortem hanging
2. Antemortem hanging
3. Strangulation.'Homicidal hanging/throttling
4. Suicidal hanging

Correct answer: 2. Antemortem hanging

Explanation: Ans: B (Antemortem hanging) Ref: The Essentials of Forensic Medicine and Toxicology by KS Narayan Reddy. 29th edition, 2010 and Textbook of Forensic Medicine and Toxicology N.G. Rao, pg: 199Explanation:"Normally salivary secret an is a constant phenomenon in life, however it is being swaWowecf continuously. When death takes place the deglutition also stops, while the local pressure and irritation exerted by the ligature on submandibular saiivary glands continues and this results in secretion of saliva. This can flow passively through the lower angle or dependent parts of the mouth, and is suggestive of antemortem hanging." Ref: NG RaoDribbling of saliva Is the surest sign of antemortem hanging.n Ref: KS Narayan ReddyDiagnosis of HangingLigature mark around the neckPresence of abrasions, ecchymoses and redness about the ligature mark.Trickling of saliva from the mouth.Ecchymoses of the larynx or epiglottis.Rupture of the intima of the carotid; andPostmortem signs of asphyxia.Dribbling of salivaysemen/urine is a sure sign of antemortem hanging, while others can be seen in postmortem hanging as well.La facie sympathetique is when the ligature knot presses on the cervical sympathetic chain, the eye on the same side may remain open with its pupil fully dilated.Ligature mark, cartilage and Tardieu spots can also be seen in strangulation.Sure Signs of Antemortem HangingDribbling of saliva.Ecchyomcsis of ligature mark.Rupture of intimae of carotid. Differences Between Antemortem and Postmortem hanging SINoFeaturesAntemortem HangingPostmortem Hanging1MotiveUsually suicidal. Homicidal only in cases of lynchingMotive to disguise as suicide2Ligature MarkLigature mark well developed, base is parchment like and is yellow or brownNo such features seen3SalivaDribbling of saliva may be seenAbsent4InjuriesNo other injuries may be seenOther injuries which causes death may be seen5AsphyxialfeaturesWill be seen in the bodyNo asphyxia signs present6CircumstantialevidenceClosed room. No signs of struggle may be seenSigns of struggle may be seen7Drag marks on the bodyNot presentMay be seen3Suicide noteMay or may not be presentNever present9Rope fibresMaybe seen in the handsNot seen